The premium of the "Community-based Universal Health Insurance Scheme" launched during 200304 ranges from -
1. Rs. I per day poor and individual to Rs. 2 per day for a family of seven
2. Rs. 1 per day poor and individual to Rs. 3 per day for a family of seven
3. Rs. 2 per day poor and individual to Rs. 12 per day for a family of seven
4. Rs. 1 per day poor and individual to Rs. 7 per day for a family of seven

Correct answer: 1. Rs. I per day poor and individual to Rs. 2 per day for a family of seven

Explanation: Ans. is 'a' i.e., Rs. 1 per day poor and individual to Rs. 2 per day for a family of seven